All are involved in non toxic transport of ammonia except
1. Glutamine synthetase
2. Glutaminase
3. Alanine cycle
4. SGPT

Correct answer: 2. Glutaminase

Explanation: The amino acid used primarily by muscle, for transport of ammonia to liver is alanine. Most other tissues however use glutamine